A codon in the genetic code consists of:
1. One molecule of charged-tRNA
2. A Shine-Dalgarno sequence
3. Three consecutive nucleotides
4. Two complementary base pairs

Correct answer: 3. Three consecutive nucleotides

Explanation: A codon is a triplet sequence of bases. The tRNA molecule contains an anticodon. The Shine-Dalgarno sequence is found in the 23S prokaryotic ribosomal RNA. A codon is on the same strand of DNA or mRNA.